All are true about olfaction except
1. Key-lock system
2. Chemical mediated
3. Females have stronger sense of olfaction
4. Males have stronger sense of olfaction

Correct answer: 4. Males have stronger sense of olfaction

Explanation: Olfaction is greater in female then in males Ref: guyton and hall textbook of medical physiology 12 edition page number:645,646,647